Most common infection associated with IUCD use is
1. Chlamydia
2. Staphylococcus epidermidis
3. Staphylococcus aureus
4. Group D Streptococcus

Correct answer: 1. Chlamydia

Explanation: Ans. a.Chlamydia Infections with chlamydia and actinomyces are most common with use of IUCD